On exposure to cold, all are seen EXCEPT:
1. Increased adrenaline
2. Shivering
3. Increased thyroxine
4. Cutaneous vasodilation

Correct answer: 4. Cutaneous vasodilation

Explanation: Ans. D i.e. Cutaneous vasodilationHypothermiaIt is a condition in which core temperature drops below the required temperature for normal metabolism and body functions which is defined as 35.0 degC (95.0 degF).Symptoms may be sympathetic nervous system excitation:- Shivering,Hypertension,- Tachycardia,- Tachypnea, and- VasoconstrictionThese are all physiological responses to preserve heat. Cold diuresis, mental confusion, as well as hepatic dysfunction may also be present.